An elderly multiparous women with intrauterine foetal death was admitted with strong labour pains. The patient suddenly goes in shock with cyanosis, respiratory disturbances and pulmonary oedema. The most likely clinical diagnosis is :-
1. Rupture of uterus
2. Congestive heart failure
3. Amniotic fluid embolism
4. Concealed accidental hemorrhage

Correct answer: 3. Amniotic fluid embolism

Explanation: The above history is suggestive of Amniotic fluid embolism Amniotic fluid embolism is a rare childbirth emergency in which amniotic fluid enters the blood stream of the mother to trigger a serious reaction . This reaction then results in cardiorespiratory collapse It is suspected when a women giving birth experience very sudden respiratory disturbances , low blood pressure and profuse bleeding due to defect in blood coagulation.